Which of the following is not true about Bell's palsy?
1. Acute onset
2. Always recurrent
3. Spontaneous remission
4. Increased predisposition in Diabetes Mellitus

Correct answer: 2. Always recurrent

Explanation: Bells PalsyIt is the commonest cause of facial palsy in adultsLower motor neuron type paralysisIt is idiopathic in naturedegBells palsy manifests as an acute, unilateral paresis or paralysis of the face.The onset and evolution are rapid - typically less than 48 hours. The incidence reaches a maximum between the ages 15 and 45 years. It has a predominance in women younger than 20 years and a slight predominance in men older than 40 years, although it is more or less equaLdegRecurrence rate of Bells palsy is 4.5-15% Familial incidence = 4.1%Bells palsy is uncommon in pregnancy, however the prognosis is significantly worse in pregnant women with Bells palsy than among non pregnant women with palsy.Several authors have also demonstrated, a correlation between diabetes mellitus and Bells palsy in developing countries.Infectious causes have also been implicated in the origin of Bells palsy - viz:FISV 1 and HSV 2, human herpesVaricella zoster virusInfluenza BAdenovirusCox sackie virus- Epstein Barr virusRecently it has been demonstrated that an inactivated intranasal influenza vaccine increased the risk of Bells palsy.Normal function is usually regained within 3 months in about 2/3 rd of patientsNo further recovery is expected after a period of 6 months.Majority of the patients with Bell's palsy recover completelySurgical decompression of facial nerve in Bells palsy is needed only in indicated cases, i.e.In case of complete paralysis andIf electroneurography of facial nerve shows >90% of degeneration. When done it should be within 2 weeks of onset of palsy.